Which of the following is an antiapoptotic gene -
1. C-myc
2. P53
3. bcl-2
4. bax

Correct answer: 3. bcl-2

Explanation: Ans. is 6c' i.e., bcl - 2 ProapopticAnti-apopticApaf-1 (Apoptosis activating factor -1)cytochrome CBakBaxBimAIFP53 geneCaspasesTNFRIFas FADD (Fas associated death domain)BH3 only proteins (Bim, Bid, Bad)Smac/DIABLOBcl-2/BCl-XFLIPMcl-1IAPsClinical importance of these genes.Inhibition of apoptosis results in uncontrolled cell proliferation and cancer,o Human papilloma virus and cervical cancer.P53 protein is proapoptotic gene, i.e., it induces apoptosis. HPV produce a protein E6 that binds and inactivates p53 - i Apoptosis - T Cell survival and growth - Cervical carcinoma.o EBVand B-cell lymphomaEBV produces a protein like BCL-2.BCL-2 inhibits apoptosis - B - cell lymphoma.Some other B-cell lymphomas also have high expression of BC1 - 2.o MelanomaIn this tumor, there is decreased expression of Apaf-1.Apaf-1 is an antiapoptotic protein, Its decreased expression induce apoptosis and malignancy.2. Ionizing radiations and cytotoxic drugs cause DNA damage and induce apoptosis via tumor suppressor gene p53